In bronchial asthma the mechanism of action of corticosteroids is :
1. Relax airway smooth muscle directly
2. Inhibits mast cell deregulation
3. Inhibits adenosine receptors
4. Inhibits lymphocytic eosinophilic mucosal inflammation

Correct answer: 4. Inhibits lymphocytic eosinophilic mucosal inflammation